The occurrence of hyperthyroidism following administration of supplemental iodine to subjects with endemic iodine deficiency goiter is known as:
1. Jod-Basedow effect
2. Wolff-Chaokoff effect
3. Thyrotoxicosis factitia
4. De Quervain's thyroiditis

Correct answer: 1. Jod-Basedow effect

Explanation: Answer is A (Jod-Basedow effect) Contrast agents and other iodine containing substance should be avoided because of risk of inducing the Vod -Basedow effect' characterized by enhanced production of thyroid hormone by autonomous nodules'- Harrison Jad Basedow disease is synonymous with iodine induced hyperthyroidism and may occur in patients with multinodular goitre after intake of large amount of iodine. - in the diet in the form of radiographic contrast material - in the form of drugs especially amiadarone Thyrotoxicosis factitia : Thyrotoxicosis produced due to ingestion of excessive amount of exogenous thyroid hormone is called Thyrotoxicosis factitia. Epidemics of thyrotoxicosis have been caused by consumption of ground beef contaminated with bovine thyroid gland. Presentation is one of thyrotoxicosis with low or absent thyroid nucleotide uptake. Wolff - Chaikoff effect: Harrison 15th / 2062, 2073, 2076; Harrison 16th/2117, 2106 Excess iodine transiently inhibits thyroid iodide organification. This phenomenon of iodine dependent transient supression of thyroid is called Wolff-Chaikoff effect. De Quervon's thyroiditis is same as subacute thyroiditis, granulomatosus thyroiditis or viral thyroiditis.